Which of the following is a storage symptom in LUTS (lower urinary tract symptoms)
1. Hesitancy
2. Dribbling
3. Intermittent stream
4. Frequency

Correct answer: 4. Frequency

Explanation: Voiding symptomshesitancy (worsened if the bladder is very full)poor flow (unimproved by straining)intermittent stream - stops and stasdribbling (including after micturition) sensation of poor bladder emptyingepisodes of near retention.Storage symptomsfrequencynocturiaurgencyurge incontinencenocturnal incontinence (enuresis)Bailey and love 27e 1459